In a splenectomized patient, there is an increase of infection by all the organisms except -
1. Pneumococci
2. Klebsiella
3. H. influnzae
4. Staph. aureus

Correct answer: 4. Staph. aureus